Transketolase requires
1. FAD
2. TPP
3. PLP
4. FMN

Correct answer: 2. TPP

Explanation: Vitamin B complexCo-enzyme formReactions used by the enzymeActivity assessmentThiamine Thiamine pyrophosphate Oxidative decarboxylation | RBC transketolase activity Riboflavin Flavin adenine dinucleotide Oxido reduction , Deamination | RBC glutathione reductase activity Niacin Nicotinamide adenine dinucleotideOxido reduction , Deamination Koenig reaction , Xanthurenic index Pantothenic acid Co enzyme A , ACP Co A derivatives , Acyl carrier proteins Pyridoxine Pyridoxal phosphate Transamination , Decarboxylation Tryptophan loading test,Xanthurenic indexBiotin Biotin Carboxylation MethylcobalamineHomocysteine methyl transferaseMethyl malonylaciduria index Folic acidFIGLU test Harper's illustrated Biochemistry ,30th ed ,page 190